Glasswares are sterilised by
1. Autoclaving
2. Hot air oven
3. Incineration
4. Formaldehyde

Correct answer: 2. Hot air oven